Validity, if a test is ?
1. Precise
2. Reproducible
3. Repeatable
4. Accurate

Correct answer: 4. Accurate

Explanation: Ans. is 'd' i.e., Accurate Validity (Accuracy) The validity of a test is the extent to which it accurately measures which it purports to measure. In other words its the ability to show which individuals have the disease in question and which do not. Validity has two components - sensitivity & specificity. To be truly valid, a test should be highly sensitive, specific and unbiased.